Which of the following is not a primary failure of malnutrition treatment?
1. Failure to lose edema by 4 weeks in outpatient cases
2. Failure to gain atleast 5 gm/Kg/day by 10 in inpatient cases
3. Failure to gain 5 gm/Kg/day for consecutive days during rehabilitation in inpatient cases
4. Presence of edema on day 10 in inpatient cases

Correct answer: 3. Failure to gain 5 gm/Kg/day for consecutive days during rehabilitation in inpatient cases

Explanation: Failure to gain 5 gm/Kg/day for 3 consecutive days during rehabilitation is secondary failure of malnutrition treatment. Inpatient cases: Primary failure Secondary failure Failure to regain appetite by day 4 Failure to start losing edema by day 4 Presence of edema on day 10 Failure to gain atleast 5g/Kg/day by day 10 Failure to gain 5 g/Kg/day for 3 consecutive days during rehabilitation Reappearance od edema after 4 weeks Outpatient Cases: Primary failure Secondary failure Failure to gain any weight by 2 weeks Failure to lose edema in 4 weeks No weight gain in two visits Ref: Partha's Fundamentals of pediatrics Pgno: 73